The aim of post-marketing study is:
1. Efficacy of the drug
2. Dosage of the drug
3. Deals with alteration of the drug includes absortion, distribution, binding/ storage
4. rare adverse effects identification

Correct answer: 4. rare adverse effects identification

Explanation: post-marketing trial means phase IV trial Phase IV clinical trials are conducted to identify and evaluate the long-term effects of new drugs and treatments over a lengthy period for a greater number of patients Phase IV research takes place after the FDA approves the marketing of a new drug Pg.no.80 KD Tripathi Seventh edition